A one and a half year old child holding her father's hand slipped and fell but did not let go of her father's hand. After that she continued to cry and hold the forearm in pronated position and refused to move the affected extremity. Which of the following management at this stage is most appropriate?
1. Supinate the forearm
2. Examine the child under GA
3. Elevate the limb and observe
4. Investigate for osteomyelitis

Correct answer: 1. Supinate the forearm

Explanation: A i.e. Supinate